Splenomegaly is least likely to be associated with:
1. Chronic Myeloid Leukemia (CML)
2. Polycythemia Rubra Vera
3. Myelofibrosis
4. Primary Thrombocytosis

Correct answer: 4. Primary Thrombocytosis

Explanation: Answer is D (Primary Thrombocytosis) Splenomegaly is least likely to be associated with Primary Thrombocytosis amongst the options provided CML, Polycythemia Vera and Myelofibrosis are characteristically associated with massive splenomegaly. Primary Thrombocytosis is only occasionally associated with mild splenomegaly and hence is the single best answer of choice Primary Thromobcytosis is only occasionally associated with mild splenomegaly 'Physical examination is generally unremarkable, except occasionally for mild splenomegaly'- Polycythemia Vera and Myelofibrosis are associated with massive splenomegaly Diseases associated with massive splenomegalyWarrison 's Chronic myelogenous leukemia Lymphomas Hairy cell leukemia Myelofibrosis with myeloid metaplasia Polycythemia Vera Gaucher's disease Chronic lymphocytic leukemia Sarcoidosis Autoimmune hemolytic leukemia Diffuse splenic hemangiomatosis